Factor X is
1. Hageman factor
2. Stuart-Prower factor
3. Christmas factor
4. Tissue factor

Correct answer: 2. Stuart-Prower factor

Explanation: Factor X is also called as Stuart-Prower factor Ref: Ganong 25th ed/page 566